Wermer's syndrome (multiple endocrine neoplasia type I) is characterised by all of the following except-
1. Tumours of anterior pituitary
2. Tumours of parathyroids
3. Pancreatic adenomas
4. Phaeochromocytoma

Correct answer: 4. Phaeochromocytoma

Explanation: MEN type 1 (MEN 1), which is also referred to as Wermer's syndrome, is characterized by the triad of tumors involving the parathyroids, pancreatic islets (gastrinomas, insulinomas, nonfunctioning and PPoma, glucagonoma, VIPoma) and anterior pituitary (prolactinoma, somatotrophinoma, coicotropinoma, nonfunctioning). Reference : page 2335-36 Harrison's Principles of Internal Medicine 19th edition